Drug of choice for invasive aspergillosis is
1. Posaconazole
2. Voriconazole
3. Liposomal AMB
4. Caspofungin

Correct answer: 2. Voriconazole

Explanation: Voriconazoleis the drug of choice for invasive aspergillosis, Posaconazole is the only azole active against mucormycosis. Liposomal AMB is the drug of choice or co drug of choice for most systemic fungal infections. It can be used intrathecally in fungal meningitis and locally for corneal ulcers and keratitis. Caspofungin is approved for invasive aspergillosis not responding to AMB or voriconazole. It is quite nontoxic and causes only infusion related reaction.